Cricothyroid is supplied by
1. Recurrent laryngeal
2. External laryngeal
3. Internal laryngeal
4. Superior laryngeal

Correct answer: 2. External laryngeal